Which method of Medical Termination of Pregnancy is not used in the first trimester of pregnancy?
1. Intrauterine instillation of hypertonic saline
2. Suction and evacuation
3. Mifepristone
4. Misoprostol

Correct answer: 1. Intrauterine instillation of hypertonic saline

Explanation: Ans. is 'a' i.e., Intrauterine instillation of hypertonic saline o Following table depicts the methods of medical termination of pregnancy used in first and second trimester abortion. Intrauterine instillation of hypertonic saline is preferred in the second trimester and not the first.METHODS OF TERMINATION OF PREGNANCYFirst Trimester (Up to 12 Weeks)Second Trimester (13-20 Weeks)Medicalo Mifepristoneo Mifepristone and misoprostol (PGE,)o Methotrexate and misoprostolo Tamoxifen and misoprostolSurgicalo Menstrual regulation (see p.646)o Vacuum aspiration (MVA/EVA) see p.646)o Suction evacuation and/or curettageo Dilatation and evacuation :# Rapid method# Slow methodo Prostaglandins PGE2 (misoprostol), 15 methyl PGF2 a (Carboprost), PGE, (Dinoprostone) and their analogs (used-intravaginally, intramuscularly or intraamniotically)o Dilation and evacuation (13-14 weeks)o Intrauterline Instillation of hyperosmotic solutions# Extra-amniotic-ethacridine lactate, Prostaglandins (PGE,, PGE2 a)# Extra-amniotic saline infusion (isotonic) with a transcervical catheter balloon# Intra-amniotic hypertonic urea (30%), saline (20%)o Oxytocin infusion - high dose used along with either of the above two methodso Hysterotomy (abdominal) - less commonly done